All are TRUE regarding health planning, except –
1. Resource planning and implementation
2. Eliminating wasteful expenditure
3. Creating demands for needs
4. To develop best course of action for best results

Correct answer: 3. Creating demands for needs

Explanation: Health planning

Health planning has been defined as the orderly process which involves (in order) -


Defining community health problems and identifying the unmet needs.
Surveying the resources to meet unmet needs to eliminate wasteful expenditure.
Establishing priority goals that are realistic and feasible
Projecting administrative action to accomplish the goals


" The purpose of planning is :

To match the limited resources with many problems
To eliminate the wasteful expenditure